Location of testis is higher on
1. Right side
2. Left side
3. May be on right or left side
4. Same level on both sides

Correct answer: 1. Right side

Explanation: Their testes function best at temperatures lower than their core body temperature. Their testes are located outside of the body, suspended by the spermatic cord within the scrotum. ref - BDC 6e vol2 pg223